PCOD- Hormonal Status:a) LH Decreasedb) LH Increased, FSH Normal to Lowc) FSH Increasedd) 17 OH Progesterone Normale) Testosterone Increased
1. be
2. ad
3. bc
4. ce

Correct answer: 1. be